Which of the following technique for protein separation is based on molecular size?
1. Ion exchange chromatography
2. Gel filtration chromatography
3. Affinity chromatography
4. Hydrophobic interaction chromatography

Correct answer: 2. Gel filtration chromatography

Explanation: Gel filtration chromatography is known as molecular sieving.Hyrophilic cross linked gels like acrylamide, agarose ,and dextran(sephadex)are used for seperation of molecules based on their size.Sephadex is widelyb used and the range of seperation is based on the pore size.The gel is porus in nature.The small particls enter ino the gel and reenter into the another particlebut the large immunoglobulins cannot enter the pores and sidetrack the gel particles:so they move rapidly.In short larger molecules will come out first; while smaller molecules retained in the column. REFERENCE ; DM VASUDEVAN Textbook SEVENTH EDITION Page no: 450